The syndrome of inappropriate antidiuretic hormone is characterized by the following:
1. Hyponatremia and hyperkalemia
2. Hypernatremia and hypokalemia
3. Hyponatremia and urine sodium excretion >20 meq/1
4. Hypernatremia and urine sodium excretion>20 meq/1

Correct answer: 3. Hyponatremia and urine sodium excretion >20 meq/1

Explanation: Syndrome of inappropriate antidiuretic hormone is caused by excess secretion of vasopressin leading to increased absorption of water resulting in hyponatremia, inappropriate sodium secretion in the urine (> 20 mEq/L), hyper osmolar urine (>100mOsm/L) and hypo osmolar plasma (<260mOsm/L). Ref: The MD Anderson Manual of Medical Oncology, 2nd Edition, CHAPTER 46